Selective medium for Gonococci -
1. Thayer - martin medium
2. LJ medium
3. DCA medium
4. MacConkey's medium

Correct answer: 1. Thayer - martin medium